Probiotics are useful for :
1. Necrotizing enterocolitis
2. Breast milk jaundice
3. Hospital acquired pneumonia
4. Neonatal seizures

Correct answer: 1. Necrotizing enterocolitis

Explanation: Probiotics are defined as live microorganisms that, when administered in adequate amounts, confer a health benefit on the host.
Bacterial colonization or infection of the intestine by pathogens such as Clostridium, Escherichia, Klebsiella, Salmonella, Shigella, Campylobacter, Pseudomonas, Streptococcus, Enterococcus, Staphylococcus aureus, and coagulase-negative staphylococcus increases the risk of necrotizing enterocolitis. 
Other potential uses of probiotics are

Managing lactose intolerance
Cholesterol-lowering
Improving immune function and preventing infections
Antibiotic-associated diarrhea
Improving mineral absorption
Irritable bowel syndrome and colitis
Prevention of colon cancer
Lowering blood pressure
Helicobacter pylori
Reducing inflammation
Prevents harmful bacterial growth under stress